Delayed hypersensitivity is due to -
1. Neutrophils
2. Monocytes
3. Eosinophils
4. Lymphocytes

Correct answer: 4. Lymphocytes

Explanation: Ans. is 'd' i.e., Lymphocytes Cell mediated (Type IV) hypersensitivityo It is initiated by activated T-lymphocytes.o It includes:1. Delayed type hypersensitivity - mediated by CD-4 T cells.2. T-cell mediated cytotoxicity - mediated by CD8- T cells.